Which of the following drugs acts on trabecular mesh work and affects the aqueous outflow?
1. Timolol
2. Pilocarpine
3. Brimonidine
4. Brirzolamide

Correct answer: 2. Pilocarpine

Explanation: mode of action of ocular hypotensive drugs Pilocarpine is the only drug acting mainly on the trabecular meshwork pilocarpine- cholinomimetic ESSENTIALS OF MEDICAL PHARMACOLOGY;7TH EDITION; KD TRIPATHI;PAGE NO 154